Mildly dilated pupil is seen in
1. Acute congestive glaucoma
2. Iridocyclitis
3. Chronic congestive glaucoma
4. Open angle glaucoma

Correct answer: 1. Acute congestive glaucoma

Explanation: In acute congestive glaucoma, pupil is semidilated, vertically oval and fixed. It is non reactive to both light and accommodation. Other signs include congestion, hazy cornea, shallow AC and IOP high( 60 - 70 mmhg ). Ref: khurana 6th edition , page no.244